The main advantage of RPD over FPD in replacing bilateral lost teeth is
1. Cross arch stabilization
2. Aesthetics
3. Less expensive
4. Comfort to the patient

Correct answer: 1. Cross arch stabilization